A patient with HIV infection complains of rapidly progressive painless visual loss.Fundus shows exudates and haemorrhage especially along blood vessels. In this case, the treatment of choice would be-
1. Amphotericin B
2. Pentamidine
3. Acyclovir
4. Ganciclovir

Correct answer: 4. Ganciclovir